For generic root form implant, each .25mm increase in diameter corresponds to increase in surface area by
1. 2%
2. 3%
3. 4%
4. 5%

Correct answer: 4. 5%

Explanation: With a greater surface area of implant-bone contact, less stress is transmitted to the bone, improving the implant prognosis. For a generic root-form implant design, each 0.25 mm increase in diameter corresponds to a surface area increase of 5% to 8%. Therefore, a cylinder root-form implant 1 mm greater in diameter will have a total surface area increase of 20% to 30%.